Which of the following short or mild acting stimuli can cause reversible pulpitis:
1. Deep periodontal curettage.
2. Incipient caries.
3. Enamel fractures.
4. All of the above.

Correct answer: 4. All of the above.

Explanation: Mild or short-acting stimuli such as incipient caries cervical erosion, or occlusal attrition; most operative procedures; deep periodontal curettage; and enamel fractures resulting in exposure of dentinal tubules can reversible pulpitis